Increase in cardiac output in exercise is due to:
1. Increased HR
2. Decreased HR
3. Increased TPR
4. Increased BP

Correct answer: 1. Increased HR

Explanation: Ans: a (Increase in HR) Ref: Ganong, 22nd ed, p. 632, 633In muscular exercise there is increase in sympathetic activity resulting in increased cardiac contractility and heart rate. Rise in heart rate is the major event that occur in normal individuals compared to increase in contractility, rememberCardiac output = HR X Stroke volumeTherefore, cardiac output increases in normal individuals at the cost of increase in heart rate.